Erythema nodosum can be seen with:
1. OC pills
2. Barbiturates
3. ACE inhibitors
4. Sulfonylureas

Correct answer: 1. OC pills

Explanation: Etiology of erythema nodosum Infections: e.g., Streptococcal, Fungal, Mycobacterial, Yersinial. Drugs: e.g., Sulfas, Penicillins, Oral contraceptives. Sarcoidosis Idiopathic causes